Which of the following is the most commonly used 'fixative' in diagnostic pathology?
1. Formaldehyde
2. Ethyl alcohol
3. Mercuric chloride
4. Picric acid

Correct answer: 1. Formaldehyde

Explanation: Formaldehyde is the most commonly used fixative in diagnostic pathology. Ref: Surgical Pathology Dissection: An Illustrated Guide By William H. Westra, Page 14.